Blunt trauma abdomen maximum injury is to :a) Proximal ileum b) Proximal jejunumc) Midiliumd) Ileocaecal junctione) Colon
1. c
2. d
3. ab
4. bd

Correct answer: 4. bd